CD-95 is a marker of?
1. Death receptor
2. Tumor cells in T-ALL
3. Monocytes
4. NK cells

Correct answer: 1. Death receptor

Explanation: CD-95 is a marker of death receptor. It is involved in extrinsic pathway of apoptosis.